Which of the following is drug of choice for Toxoplasmosis in pregnancy?
1. Metronidazole
2. Pyrimethamine
3. Sulfadiazine
4. Spiramycin

Correct answer: 4. Spiramycin

Explanation: DOC for Toxoplasma.gondi : Pyrimethamine + Sulfadiazine
DOC for Toxoplasma.gondi in Immunocompromised : Cotrimoxazole
DOC for Toxoplasma.gondi in Pregnancy : Spiramycin